Which of the following brainstem nuclei is not derived from the alar palate?
1. Inferior olivary
2. Substantia nigra
3. Dentate
4. Hypoglossal

Correct answer: 4. Hypoglossal

Explanation: D i.e. Hypoglossal 3rd (occlomotor), 4th (trochlear) 6rh (abducent and 12th(hypoglossal) are pure motor (efferent) nerves and their nuclei originate from basal plate. Mn "3, 4, 6, and 12 motors)Edinger -westphal nucleusQ, Hypoglossal (12) 3rd,4th and 6deg' nerve nucleus, Nucleus ambiguous (9, 10, 11 cranial nerve) and Salivatory nucleus are efferent (motor) nuclei and originate from basal (ventrolateral) plate.Mn- "Eden Has 3, 4, 6 Ambigous saliva"Cerebellum (cortex & deep nuclei) Corpora bigemina, Colliculi, Cochlear - vestibular complex, Cuneate - Gracile nucleus and Corpus pontobulbare, Rhombic lips, Olivary nucleus Pontine nucleus, Solitarius nucleus, Frenulum veli and Marginal Oval bundle are afferents and originate from alar (dorsolateral lamina). Mn - "6 CROPS From Oval Margin".Substantia Nigra, Red and Reticular nuclei are of mixed (alar & basal) origin. Mn "SuN Re"